The major lipids that make up the cell membrane are:
1. Triglycerides
2. Phospholipids
3. Sphingomyelins
4. Fatty acids

Correct answer: 2. Phospholipids